Earliest detectable congenital malforrintinn by USG is :
1. Anencephaly
2. Spina bifida
3. Meningocoele
4. cystic hygroma

Correct answer: 1. Anencephaly

Explanation: Ans is a i.e. anencephaly